Last ocular muscle to be involved in Grave's disease-
1. Inferior rectus
2. Lateral rectus
3. Superior rectus
4. Inferior oblique

Correct answer: 4. Inferior oblique

Explanation: Last ocular muscle to be involved in graves disease inferior oblique muscles Ref khurana 6/e 350